Triple deformity of the knee is present in
1. Tuberculosis of knee
2. Pyogenic knee
3. Osteoarthritis knee
4. None of the above

Correct answer: 1. Tuberculosis of knee